Which is a derivative of neural crest -
1. Enamel
2. Spinal cord
3. Nails
4. Dentine

Correct answer: 4. Dentine

Explanation: Ans. is 'd' i.e., DentineDerivatives of surface ectodermi) Skin and appendages : Epidermis, hair, nails, sweat glands, sebaceous glands.ii) Mucous membrane of: Oral cavity, nasal cavity, paranasal sinuses, lower part of anal canal, terminal part of urethra, outer surface of labia minora, whole labia majora, lower part of vagina.iii) Eye : Crystalline lens, epithelium of cornea and conjunctiva, lacrimal gland.iv) Ear: Outer layer of tympanic membrane, epithelial lining of membranous labyrinth.v) Glands : Exocrine glands (sweat glands, sebaceous glands, salivary glands, mammary glands, lacrimal glands), endocrine gland (anterior part of pituitary).vi) Teeth : Enamel (Ameloblast).vii) Pharyngeal CleftsDerivatives of neuroectodermi) From neural tube : CNS (brain, spinal cord), astrocytes, oligodendrocytes, ependymal cells, retina, pineal gland, neurohypophysis (posterior pituitary), all cranial and spinal motor nerves.ii) From neural crest: Neural crest derivatives are:-a) Neural derivatives# Sensory neurons of 5th, 7th, 8th, 9th, 10th cranial nerve ganglia (trigeminal, geniculate, sphenopalatine, submandibular, cochlear, vestibular, otic and vagal parasympathetic ganglia).# Sensory neurons of spinal dorsal root ganglia.# Sympathetic chain ganglia and plexus (celiac/preaortic/renal ganglia, enteric plexus in GIT, i.e. Auerbachs and Meissner's)# Parasympathetic ganglia and plexus of GIT.# Schwann cells of peripheral nerves, satellite cells of all ganglia.# Adrenal medulla, chromaffin cells, para follicular C-cells of thyroid gland.# Melanocytes and melanoblasts. a Glomus cellsb) Mesenchymal derivatives# Dermal bones of skull: Frontal, parietal, temporal, nasal, vomer, palatine, mandible, maxillae.# Leptomeninges : arachnoid and pia mater (Durameter is mesodermal), a Dentine of teeth (odontoblasts).# Eye: choroid, sclera, iris epithelium, pupillary muscles (sphincter and dilator pupillae, ciliary muscles).# Pharyngeal arch cartilages.# Retinal pigmented epithelium.# Connective tissues of head including dermis, tendon, ligaments.# Bulbar and conal ridges of heart.